A patient comes with recent onset paralytic squint. Which of the following statement regarding paralytic squint is true ?
1. Congenital
2. Ambylopia is present
3. Diplopia is present
4. Secondary deviation is equal to primary deviation

Correct answer: 3. Diplopia is present

Explanation: A paralytic squint is caused by damage to extraocular muscles or their innervation. The features of a paralytic squint include: Usually acquired Diplopia is present Diplopia is maximal when attempting to look in the direction requiring the action of the weak muscle The image from the paralysed eye is always peripheral to the image from the normal eye The angle between the longitudinal axies of the eyes varies during testing of eye movements